A female treatment for depression took a massive dose amitriptyline for suicide. Which of the following statement regarding her management is WRONG?
1. Gastric lavage should be done
2. Sodium bicarbonate should be administered to treat acidosis
3. Atropine sulphate should be administered as an antidote
4. Diazepam should be injected to control seizures.

Correct answer: 3. Atropine sulphate should be administered as an antidote

Explanation: Symptoms of acute poisoning are similar to atropine poisoning hence atropine sulphate would aggravate the symptoms. All the other given options are used as treatment. REF: K D Tripathi 8TH ED.